Least common cause of pericarditis/pericardial effusion in children:
1. Rheumatic fever
2. Sarcoidosis
3. Rheumatoid arthritis
4. SLE

Correct answer: 2. Sarcoidosis

Explanation: b. Sarcoidosis(Ref: Nelson's 20/e p 2269-2271, Ghai 8/e p 433-443)Important causes of pericarditis/pericardial effusion in children:Infectious* Viral (Coxsackie virus B, EBV, Influenza, Adenovirus); Fungal (Histoplasmosis, Actinomycosis)* Bacterial (TB, Streptococcus, Pneumococcus, Staphylococcus, Meningococcus, Mycoplasma, Tularemia, Listeria, Leptospirosis)* Immune complex (Meningococcus, Hemophilus influenzae)* Parasitic (Toxoplasmosis, Echinococcosis) Connective tissue diseasesMetabolic-endocrineRheumatoid arthritisRheumatic feverSystemic lupus erythematosusSystemic sclerosisSarcoidosisWegener granulomatosisUremiaHypothyroidismChylopericardiumOut of the causes given in the options, Sarcoidosis is the least common.